Tyndallization is a method of sterilization using;
1. Moist heat above 100 C
2. Moist heat below 100 C
3. Dry heat above 100 C
4. Moist heat at 100 C

Correct answer: 4. Moist heat at 100 C

Explanation: Tyndallization or intermittent sterilization uses moist heat at 100 C for 20 minutes for 3 consecutive days. It is carried out in a Koch and Arnold steam sterilizer. Media which contain any ingredient/component not able to tolerate the temperature of an autoclave are sterilized by tyndallization. Eg. TCBS, XLD, DCA, sugar solutions for fermentation tests and gelatin containing media.